Cholesteatoma commonly associated with:
1. Atticoantral CSOM
2. Tubotympanic CSOM
3. Tympanosclerosis
4. Foreign body in ear

Correct answer: 1. Atticoantral CSOM

Explanation: (a) Atticoantral CSOM(Ref. Scott Brown, 8th ed. Vol 2; 989)Tympanosclerosis is hyalinisation and calcification of the fibrous layer of tympanic membrane. It is not associated with cholesteatoma. Foreign body in ear does not lead to cholesteatoma formation.Keratosis obturans is the collection of desquamated keratin debris in the external auditory canal. This keratin debris comes from the external auditory canal stratified squamous epithelium.